Rarely indicates organic diseaseFor the above causes of sexual dysfunction, select the most likely clinical feature.
1. loss of sexual desire
2. failure of erection with absent nocturnal penile tumescence (NPT)
3. absence of emission
4. absence of orgasm with normal libido and erectile function

Correct answer: 4. absence of orgasm with normal libido and erectile function

Explanation: An absent orgasm, when libido and erectile function are normal, invariably indicates that organic disease is absent. Loss of desire can also be caused by psychologic disturbance, but may indicate androgen deficiency or drug effect.